Sturge Weber syndrome is characterized by all EXCEPT:
1. Exophytic oral hemangioma
2. Facial hematoma
3. Tramline calcification of dura on lateral cephalogram
4. Facial hemangionna

Correct answer: 2. Facial hematoma